HLA associated with rhaumatoid arthritis ?
1. HLA-B27
2. HLA-DR4
3. HLA-CW6
4. HLA-B8

Correct answer: 2. HLA-DR4

Explanation: Ans. is 'b' i.e., HLA-DR4